INH induced peripheral neuropathy results from deficiency of vitamin:
1. B1
2. B2
3. B6
4. B12

Correct answer: 3. B6

Explanation: Ans. (C) B6 (Ref: KDT 8th/e p817-818)Pyridoxine (vitamin B6 ) is administered for the prevention as well as treatment of isoniazid induced peripheral neuropathy.